Vit-K deficiency is indicated by:
1. Low platelet count
2. Increased prothrombin time
3. Decreased prothrombin time
4. None of the above

Correct answer: 2. Increased prothrombin time